True about fatty acid synthesis
1. Occurs in mitochondria
2. Occurs in cytosol
3. Occurs in endoplasmic reticulum
4. Occurs in ribosomes

Correct answer: 2. Occurs in cytosol

Explanation: Reactions that take place in 
Mitochondrion

TCA cycle/ Citric acid cycle
Beta oxidation of fatty acids
Ketogenesis
Respiratory chain
Part of Gluconeogenesis & Urea cycle

 Cytosol

Glycolysis/EMP 
Pentose phosphate pathway
Fatty acid synthesis
Part of Gluconeogenesis & Urea cycle
Glycogenolysis